Split skin graft can be applied over -
1. Muscle
2. Bone
3. Cartilage
4. Eyelid

Correct answer: 1. Muscle

Explanation: Answer is 'a' i.e. Muscle: A rich vascular supply is essential for support of a split - thickness (or full thickness) graft. It does not survive when placed directly over bone, cartilage or bare tendon. For critical & small areas such as an eyelid, a full thickness graft is selected, so that contraction of the grafted material is mimimal.